A 15- year old boy is suffering from Hodgkin's disease which shows involvement of lymphnodes. Which of the following treatment will have high success rate:
1. Lymph node resection
2. Chemotherapy
3. Immunotherapy
4. Surgery+immunotherapy

Correct answer: 2. Chemotherapy

Explanation: The question does not mention as to what is the extent of involvement by the disease. Thus exact answer is difficult. However, out of choices, only chemotherapy is used in treatment of Hodgkins disease. Hence this can be the only best answer.